Which of the following is not a contraindication for use of digitalis:
1. Acute rheumatic carditis
2. Thyrotoxicosis
3. WPW syndrome
4. Hyperkalemia

Correct answer: 4. Hyperkalemia